Endemic typhus cause and vector is
1. R. prowazki and louse
2. R. typhi and Rats
3. R. conori and tick
4. R. akari and mite

Correct answer: 2. R. typhi and Rats

Explanation: Endemic Typhus Is also known as 'Flea borne typhus' or 'Murine Typhus' Causative agent : Rickettsia typhi (R.mooseri) Reservoir: Rats Mode of Transmission : Rat Flea (Xenopsylla cheopsis) - But not Through bite, rather through feces innoculation on skin or inhalation of dried infective faeces Incubation period : 1-2 weeks Weil-Felix reaction: Becomes positive with proteus OX-19 in 2nd week Drug of choice : Tetracycline Ref: Park 25th edition Pgno : 316